Most common site for initiation of stapedial otosclerosis is:
1. Fissula ante-fenestram
2. Fossula post-fenestram
3. Footplate of stapes
4. Margins of stapes

Correct answer: 1. Fissula ante-fenestram

Explanation: Most common site for otosclerosis to start is fissula ante-fenestram - an area lying in front of oval window. Other sites listed in the question are also affected but their involvement is less frequent.